Which one of the following casues the greatest risk of ecotpic pregnancy :
1. Pelvic inf!amatory disease
2. IUD use
3. Previous ectopic pergnancy
4. Previous MTP

Correct answer: 3. Previous ectopic pergnancy

Explanation: Ans. is c i.e. Previous ectopic pregnancy "Prior tuba/ damage, either from a previous ectopic pregnancy or from tuba! surgery to relieve infertility or for sterilization, confers the highest risk of ectopic pregnancy".